Middle ear is separated from cerebrum by
1. Tegmen tympani
2. Sphenoid bone
3. Jugular wall
4. Carotid wall

Correct answer: 1. Tegmen tympani

Explanation: The roof of the tympanic cavity is formed by a thin plate of bone, the tegmen tympani, which separates the cranial and tympanic cavities. imageref- sciencedirect.com